Agents safe in renal failure – a) Gallamineb) Pancuroniumc) Vecuroniumd) Mivacurium
1. ab
2. bc
3. bd
4. cd

Correct answer: 4. cd

Explanation: Muscle relaxants safe in renal failure

Muscle relaxants completely independent of renal function → Atracurium, cisatracurium, Sch, Mivacurium.
Muscle relaxants primarily excreted in bile → Vecuronium, rocuronium (very less amount is excreted by kidney).